Which of the following countries was the first to institute compulsory sickness insurance
1. USA
2. England
3. France
4. Germany

Correct answer: 4. Germany

Explanation: Germany led by the way to instituting compulsory sickness insurance in 1883. Ref : Park's Textbook of Preventive and Social Medicine; 23rd edition